The time interval between receipt of infection and the maximum infectivity of the host is known as?
1. Incubation period
2. Serial interval
3. Generation time
4. Communicable period

Correct answer: 3. Generation time

Explanation: Generation time is the time interval between the receipt of infection by a susceptible host and the maximum infectivity of that host. Incubation period is the period of time that intervenes between the occurrence of infection and the appearance of the first clinical manifestations. Serial intervalis defined asthe time gap between primary and secondary case. Communicable period is the time during which an infectious agent may be transferred, directly or indirectly from an infected person to other individuals.